Hypoglossal nerve injury cause:
1. Deviation of soft palate to affected side
2. Deviation of soft palate to active side
3. Deviation of tongue to lesion side
4. Deviation of larynx to affected side

Correct answer: 3. Deviation of tongue to lesion side

Explanation: Hypoglossal nerve cause: Tongue to deviate to the affected side Larynx to deviate to active side